In wound injury sequence of appearance of cells is-
1. Macrophage -> Platelet --> Neutrophils -> Fibroblast
2. Neutrophils -> Macrophages --> Platelet -> Fibroblast
3. Platelet -> Neutrophils -> Macrophages --> Fibroblast
4. Platelet --> Macrophages --> Neutrophils -> Fibroblast

Correct answer: 3. Platelet -> Neutrophils -> Macrophages --> Fibroblast

Explanation: At first, platelets arrive and cause arrest of bleeding. Then comes the mediators of acute inflammation, Neutrophils and later that of chronic inflammation, Macrophages. At last, fibroblasts arrive during scarring. Basic Pathology, Robbins. Page no.: 70